Treatment for stage T3N1 of carcinoma maxilla is:-
1. Radiation therapy only
2. Chemotherapy only
3. Surgery and radiation
4. Chemotherapy and radiation

Correct answer: 3. Surgery and radiation

Explanation: Treatment for stage T3N1 of carcinoma maxilla is combination of radiotherapy and surgery. CARCINOMA OF MAXILLARY SINUS Common in 40-60 years of age, more common in malesQ Systemic metastasis are rare, may be seen in lungs (MC)Qand occasionally in bone. CLINICAL FEATURES Nasal stuffiness, blood stained discharge, facial paraesthesia, or pain and epiphoraQ. Nodal metastasis is uncommon and occurs only in the late stage of disease. Maxillary tumors mainly spread to mandibular nodesQ. DIAGNOSIS:CT scan: Best non-invasive method to find the extent of disease. TREATMENT For SCC, combination of radiotherapy and surgeryQgives better results than either alone. Radiotherapy can be given before or after surgery.